Which of these is not associated with Loeffler's syndrome?
1. Toxocara
2. Strongyloides stercoralis
3. Ascaris
4. Giardiasis

Correct answer: 4. Giardiasis

Explanation: Loeffler's syndrome causes are as follows: * Ascaris * Ancylostoma sp. * Toxocara sp. * Strongyloides stercoralis * W bancrqfti or W malayi * Trichomoniasis * Clonorchiasis * Visceral larva migrans, etc. Ref - Harrison's internal medicine 20e pg403, 1552, 1553t, 1975, 1975t